Corneal ulcer is defined as
1. Erosion of epithelium only
2. Erosion of endothelium only
3. Erosion of epithelium + underlying inflammation
4. Loss of endothelium with loss of corneal sensation

Correct answer: 3. Erosion of epithelium + underlying inflammation

Explanation: Answer- C. Erosion of epithelium + underlying inflammationCorneal ulcer refers to discontinuation in normal epithelial surface of cornea associated with necrosis of the surrounding corneal tissue